Ogaura Inawa and Hikojima are the serotypes of:
1. Yersina
2. Vibrio cholerae
3. E Coli
4. Salmonella typhi

Correct answer: 2. Vibrio cholerae

Explanation: Ans. is. 'b' i. e., Vibrio cholerae